Number of vertebrae in human vertebral column is
1. 30
2. 31
3. 32
4. 33

Correct answer: 4. 33

Explanation: (D) 33# Human vertebral column usually consists of 33 vertebrae:> 24 Presacral vertebrae: 7 cervical, 12 thoracic, and 5 lumbar)> Sacral veretebrae (5 fused sacral vertebrae) and> Coccyx vertebrae (4 frequently fused coccygeal vertebrae).